True regarding Hangman's fracture is:
1. Odotoid process fracture of C2
2. Spondylolisthesis of C2 over C3
3. Whiplash injury
4. Fracture of hyoid bone

Correct answer: 2. Spondylolisthesis of C2 over C3

Explanation: B i.e. Spondylolisthesis of C2 over C3